mRNA is a complimentary copy of ?
1. TRNA
2. RRNA
3. Ribosomal DNA
4. A single strand of DNA

Correct answer: 4. A single strand of DNA

Explanation: D i.e. A single strand of DNA